Site of action of ADH is :
1. PCT
2. DCT
3. Collecting tubule
4. Ascending loop

Correct answer: 3. Collecting tubule